Hemiplegia is commonly associated with infarction of the area of distribution of the:
1. Anterior cerebral artery
2. Middle cerebral artery
3. Posterior cerebral artery
4. Anterior communicating artery

Correct answer: 2. Middle cerebral artery

Explanation: Answer is B (Middle cerebral artery): The sensory motor cortex is located on the lateral surface of the cerebral hemisphere and is supplied by middle cerebral artery. Occlusion of the middle cerebral artery thus produces contrahtteral hemiplegia and contralateral hemisensory loss.